National Guinea worm Eradication Programme was launched in -
1. 1972-73
2. 1975-76
3. 1980-81
4. 1983-84

Correct answer: 4. 1983-84

Explanation: Ans. is 'd' i.e., 1983-84